The process of coating a particle, such as a microbe, to target it for phagocytosis is called:
1. Opsonization
2. Priming
3. Activation
4. None of the above

Correct answer: 1. Opsonization

Explanation: Leukocytes express receptors for proteins that coat microbes. The process of coating a particle, such as a microbe, to target it for ingestion (phagocytosis) is called opsonisation. Substances that do this are opsonins. Ref: Robbins 8th edition Chapter 2.